Which of the following is the first internal organ to putrefy?
1. Heart
2. Kidney
3. Brain
4. Prostrate

Correct answer: 3. Brain

Explanation: Brain is the first organ to putrefy amongst the options provided. Putrefaction Review: Putrefaction is disintegration of body tissues after death produced by the action of bacteria and other microorganism thriving on the body. It represents the last stage in resolution of body from the inorganic to organic state. Putrefaction is the most absolute sign of death. Rate of Putrefaction significantly depends on the medium in which the body lies (Caper's Dictum) Caper's Dictum: Effect of medium (in which body lies) on rate of putrefaction Casper's dictum relates to the rate of putrefaction of a dead body and helps in estimation of time since death. Caper's dictum states that a body decomposes in air twice as rapidly as in water and eight times as rapidly in earth. Temperature being the same the ratio of rate of putrefaction of a dead body in water, air and buried in ground is 1:2:8 Putrefaction can be identified by both external and internal signs that often in a predictable sequence. First sign of Putrefaction (External) First Internal sign of Putrefaction Greenish discolouration of flank over cecum (right iliac fossa) is the first clinical sign of Putrefaction The greenish discolouration is due to formation of sulphamethemoglobin Typically Appears in 12-24 hours The first internal sign of putrefaction is Greenish discolouration on undersurface of liver (often the area of the liver in contact with the caecum) Putrefaction of internal organs typically proceeds in a predictable fashion depending on multiple factors such as Firmness, Moisture content, density, and/or Quantity of blood in organs. As a general rule, the organs show putrefactive changes in the following order(Order according to Reddy) Larynx & trachea Infant brain Stomach, Intestine, Spleen Liver, Lung Brain Heart Kidney, Bladder Prostate, Uterus (non-gravid) Skin, muscle, tendon Bone Organs to Putrefy early Mucosa of trachea and larynx Stomach and intestine Spleen Liver Brain Organs that Putrefy Late Esophagus, Diaphragnm, Heart Lungs Kidney Urinary bladder Uterus (Non-Gravid) Prostate Ref: APC Essentials of Forensic Medicine by Anil Aggarwal